CSF is obtained from space between
1. Dura and arachnoidmater
2. Dura and pia mater
3. Arachnoid and pia mater
4. None of the above

Correct answer: 3. Arachnoid and pia mater

Explanation: Arachnoid and piamater CSF It is a clear colorless bodily fluid produced in the choroid plexus of the brain It occupies the subarachnoid space (the space between the arachnoid mater and the pia mater) and the ventricular system around and inside the brain and spinal cord. It constitutes the content of the ventricles, cisterns, and sulci of the brain, as well as the central canal of the spinal cord.